Concept of school health was first laid by
1. Renuka Roy committee
2. BHORE committee
3. Kartar Singh committee
4. Mukherjee committee

Correct answer: 2. BHORE committee

Explanation: School Health * Concept first laid by BHORE committee (1946) Guidelines were laid down in detail by RENUKA ROY committee (1961) Kartar Singh committee: Committee on multipurpose workers under health and family planning Mukherjee committee : Basic health should be provided at block level